The following antibiotic accentuates the neuromu-scular blockade produced by pancuronium:
1. Streptomycin
2. Erythromycin
3. Penicillin G
4. Chloramphenicol

Correct answer: 1. Streptomycin

Explanation: (Ref: KDT 6e p721, 722) Aminoglycosides (like streptomycin and gentamicin) can accentuate the neuromuscular blockade produced by competitive blockers (like pancuronium). Mechanism of neuromuscular blockade produced by aminoglycosides is the inhibition of presynaptic release of ACh.